Sensory nerve supply of larynx below the level of vocal card is :
1. External branch of superior laryngeal nerve
2. Internal branch of superior laryngeal nerve
3. Recurrent laryngeal nerve
4. Inferior pharyngeal

Correct answer: 3. Recurrent laryngeal nerve

Explanation: Ans is 'c' i.e. . Recurrent laryngeal nerve Sensory N supply of Larynx above the vocal cards - Internal br. of sup. Laryngeal nerveSensory N supply of Larynx below the vocal cards- Recurrent laryngeal N.Also RememberAll Ms of Larynx are supplied by recurrent Laryngeal nerve except Cricothyroid which is supplied by External br. of superior laryngeal nerve.Both the recurrent laryngeal n & superior Laryngeal nerve are branches of vagus nerve (X CN) but they contain fibres of the cranial part of the accessory nerve (XI CN).*Cranial part of accessory nerve is distributed through the vagus to ms. of palate, pharynx & larynx.Spinal part of accessory nerve supply the sternocleidomastoid & trapezius muscles.